All of the following are known risk factors for development of endometrial carcinoma except:
1. Obesity
2. Family history
3. Use of hormone replacement therapy
4. Early menopause

Correct answer: 4. Early menopause